True about Ghon's focus -
1. Left apical parenchymal lesion
2. Right apical parenchymal lesion
3. Sub pleural caseous lesion in right upper lobe
4. Subpleural caseous lesion just above or below interlobar fissure

Correct answer: 4. Subpleural caseous lesion just above or below interlobar fissure

Explanation: Inhaled tubercule bacilli implanted in the distal air spaces of the lower part of upper lobe or upper part of the lower lobe, close to the pleura. This area is about 1 to 1.5 cm with caseating necrosis known as Ghon's focus.
Primary complex or Ghon's complex of tuberculosis consists of 3 components.


Pulmonary compound or Ghon's focus.
Draining lymphatics
Caseating hilar lymph node